Commonest cause of sustained severe hypertension in children:
1. Endocrine causes
2. Coarctation of aorta
3. Renal parenchyma disease
4. Pheochromocytoma

Correct answer: 3. Renal parenchyma disease

Explanation: Ans. is 'c' Renal parenchymal disease Most common cause of persistent hypertension in child is - Intrinsic Renal DiseaseIntrinsic renal diseases causing persistent hypertensionChronic glomerulonephritis (Most common).Chronic pyelonephritisObstructive uropathyRenal tumours